Least failure rate is seen in which IUD -
1. CUT-200
2. Lippes lood
3. LNG-IUD
4. Nova-T

Correct answer: 3. LNG-IUD

Explanation: Ans. is 'c' i.e, LNG-IUD IUD devicePregnancy (failure) rateExpulsion rateFirst generation * Lippes loop3[?]0 (maximum)19[?]1 (maximum)Second generation * CuT - 36 * CuT -2003[?]07[?]8* CuT - 380A0[?]5 - 0[?]85* Nova T0[?]75[?]8* Multiload - 2500[?]52[?]2* Multiload -3750[?]12[?]1Third generation * Progstasert1[?]53 (minimum)* LNG-IUD0[?]2 (minimum)6